Magistrate inquest is done in?
1. Death by suicide
2. Death by accident
3. Death in psychiatry hospital
4. Death in suspicious circumstances

Correct answer: 3. Death in psychiatry hospital

Explanation: Ans. is 'c' i.e., Death in psychiatry hospital Magistrate inquest (Sec 176. CrPC)o Magistrate's inquest is carried out by an executive magistrate, district magistrate (DM) or sub-divisional magistrate (SDM). It is done in cases ofi) Death in prison, reformatories, Brostal school.ii) Death in police custody, while under police interrogation.iii) Death due to police firing.iv) Dowry death, i.e. death of a married female less than 30 years of age or death within 7 years of marriage.v) Exhumation.vi) Death in psychiatry hospital.vii) Any person dies or disappears, or rape is alleged to have been committed on any woman, while such person or woman is the custody of police or any other custody authorized by court (Sections 174(4), 176 and 176,1 - A CrPC)